Late metabolic acidosis is seen in-
1. Term infant given formula feed
2. Preterm baby getting cow milk
3. Long term breast feeding
4. None of the above

Correct answer: 2. Preterm baby getting cow milk

Explanation: Ans. is 'b' i.e., Preterm baby getting cow milk Late metabolic acidosis (LMA) o Late metabolic acidosis is a special type of acidosis in apparently healthy premature infant. o This hyperchloremic acidosis appeares during second and third week of life, and resolves spontaneously within a couple of weeks. Definition "An acidosis occuring after second day of life, in which base excess values are lower than -5meq/L on two consecutive estimations done at least 24 hours apart". Etiology o Prematurity is the most important single predisposing factor in the development of LMA. o The incidence varies considerably depending upon the gestational maturity and protein content of feeding formula. o In preterm neonates fed on a modified cow's milk the risk of developing LMA is very high.